Dyskeratosis is a feature of
1. Darier's disease
2. Pemphigus vulgaris
3. Psoriasis
4. Lichen planus

Correct answer: 1. Darier's disease

Explanation: Faulty and premature keratinization of individual keratinocytes is called dyskeratosis. Dyskeratotic cells are usually intensely eosinophilic and may contain a small, dense, basophilic nuclear remnant. Dyskeratotic cells may also be densely basophilic as seen in Darier's disease.